Fallen fragment sign on X-ray is seen in -
1. Simple bone cyst
2. Aneurysmal bone cyst
3. GCT
4. Fibrous dysplasia

Correct answer: 1. Simple bone cyst

Explanation: Fallen fragment sign and hinged fragment sign are seen in simple bone cyst. Fallen fragment sign refers the settlement of fractured fragment in dependent position Hinged fragment sign (aka Trap door sign) refers to non separation of fractured fragment from the adjacent cortex.